VDRL is most sensitive for diagnosis during which stage of syphilis -
1. Primary
2. Secondary
3. Tertiary
4. Congenital

Correct answer: 2. Secondary

Explanation: Ans. is 'b' i.e., Secondary